For class V direct filling gold, retention points are
1. In the enamel completely
2. In the occlusal and gingival line angles
3. In the mesial and distal walls
4. In the axial wall completely

Correct answer: 2. In the occlusal and gingival line angles